As per MCI, minimum period for which a doctor should preserve his patient's record:
1. 2 years
2. 3 years
3. 4 years
4. 5 years

Correct answer: 2. 3 years

Explanation: Ans. 3 years